The drug which does not cause myopathy is :
1. Chloroquine
2. Betamethasone
3. Chloramphenicol
4. Zidovudine

Correct answer: 3. Chloramphenicol

Explanation: Ans. is 'c' Chloramphenicol Drugs Causing MyopathyAmphotericin BCarbenoxoloneCimetidineChloroquineClofibrateGlucocorticoidGrowth hormoneZidovudineOral contraceptivesHMG COA reductase inhibitors.InfliximabInterferon alpha